Surfacant is made up of :
1. Surfacant is made up of :
2. Mucoprotein
3. Phospholipids
4. Fibrinogen

Correct answer: 3. Phospholipids

Explanation: C i.e. Phospholipids